Most common physiological form of DNA
1. A-form
2. B-form
3. Z-form
4. C-form

Correct answer: 2. B-form

Explanation: DNA can exist in at least six forms, i.e. A, B, C, D, E and Z.The B-form of DNA is the most common form of DNA and is right-handed helix.It is the strandard DNA structure with 10 base pairs per turn.Watson and Crick model describes the B-form of DNA.Other forms of DNA are A-form (contains 11 base pairs per turn and is right handed helix) and Z-form (contains 12 base pairs per turn and is left handed helix).Z-form is favored by alternating G-C sequences in alcohol and high salt solution; and is inhibited by alternating A-T sequnces (Note-B form has minimum base pairs per turn, i.e. 10).